Psammoma bodies are seen in all except:
1. Follicular Ca thyroid
2. Papillary Ca thyroid
3. Serous cystadenoma of ovary
4. Meningioma

Correct answer: 1. Follicular Ca thyroid

Explanation: Follicular Ca thyroid